All of the following constitute the Charcot's Triad except -
1. Pain
2. Fever
3. Jaundice
4. Septic Shock

Correct answer: 4. Septic Shock

Explanation: Ans. is 'd' i.e., Septic Shock o Charcot's triad comprises of:# Pain abdomen# Jaundice# Fever with Chillso Presence of the triad indicates cholangitisNote: Reynolds's pentad - Charcot's triad + Septic Shock+Mental status changes